Chocolate agar is an example of ?
1. Enriched medium
2. Enrichment medium
3. Selective medium
4. Transport medium

Correct answer: 1. Enriched medium